A 54-year-old clerk complains of having had dysphagia for 15 years. The clinical diagnosis of achalasia is confirmed by a barium study. What is TRUE in this condition?
1. The most common symptom is dysphagia.
2. In the early stages, dysphagia is more pronounced for solids than liquids
3. The incidence of sarcoma is increased.
4. Recurrent pulmonary infections are rare.

Correct answer: 1. The most common symptom is dysphagia.

Explanation: Dysphagia in esophageal achalasia is described as paradoxical in that it is more pronounced for liquids than solids. There are numerous reports of an increased incidence of carcinoma in achalasia, ranging from 3% to 10%. In 1975, Belsey reported a 10%. incidence in 81 patients in whom symptoms tended to occur at a younger age. Recurrent lung infections from aspiration of esophageal contents are a troublesome complication. The treatment is surgical myotomy or endoscopic dilatation.